To avoid conception, DMPA is given :
1. Monthly
2. 3 Monthly
3. 6 Monthly
4. Yearly

Correct answer: 2. 3 Monthly

Explanation: Depomedroxyprogesterone Acetate It's a suspension of microcrystals of a synthetic progestin The regimen of 150 mg every 3 months is highly effective, producing pregnancy rates of about 0.3 per 100 women per year Women treated with DMPA experience disruption of the menstrual cycle and have initial spotting and bleeding at irregular intervals With continued administration, amenorrhea develops in 50% of women by 1 year and in 80% by 3 years Side effects: Persistent irregular vaginal bleeding Weight gain Glucose intolerance Reduction in HDL Ref: Noval and Bereks Gynecology; 15th Edition; Chapter 10